Which sites are characteristically affected in Stevens-Johnson syndrome?
1. Liver, spleen, pancreas
2. Conjunctiva, genitalia, oral mucosa
3. Oral mucosa, lacrimal apparatus, ears
4. Parotid gland, palate, conjunctive

Correct answer: 2. Conjunctiva, genitalia, oral mucosa